A 68-year-old woman develops new symptoms of burning when voiding. She has no fever, chills, or back discomfort. Her urinalysis reveals numerous white cells and bacteria. Which of the following medical comorbidities is most likely to coexist in this patient?
1. anemia
2. exercise
3. diabetes mellitus
4. influenza

Correct answer: 3. diabetes mellitus

Explanation: Urinary tract infections (UTIs) are increased in diabetes mellitus as well as in pregnancy, sickle cell disease, polycystic disease, and structural abnormalities of the urinary tract.